All are seen in Reye's syndrome except-
1. Aminoaciduria
2. Metabolic acidosis
3. Increased serum transaminases
4. Respiratory alkalosis

Correct answer: 1. Aminoaciduria

Explanation: Ans. is 'a' i.e., Aminoaciduria